Inward rolling of eyelid margin is known as:
1. Entropion
2. Ectropion
3. Trichiasis
4. Ankyloblepharon

Correct answer: 1. Entropion

Explanation: Ans. A i.e. Entropion